Methods of Hemoglobin estimation inlude the following except -
1. Drabkin's method-ferricyanide-cyanide
2. Sahli's method
3. Spectrophotometric method
4. Wintrobe's method

Correct answer: 4. Wintrobe's method

Explanation: The Wintrobe method is performed similarly except that the Wintrobe tube is smaller in diameter than the Westergren tube and only 100 mm long. EDTA anticoagulated blood without extra diluent is drawn into the tube, and the rate of fall of red blood cells is measured in millimeters after 1 hour. It is used to calculate erythrocytes sedimentation rate